All are true about auger's except
1. Is a type of femoral hernia
2. Seen in front of femoral vessels
3. Has high strangulation rate
4. Is hernia through lacunar ligament

Correct answer: 2. Seen in front of femoral vessels

Explanation: Velpeau's hernia is prevascular hernia,seen infront of femoral vessels.
Types of femoral hernia


Laugier's hernia.
Vclpeau's hernia.
Seratinis hernia.
Narath's hernia.